Which of the following best describes sensitization to a drug?
1. an allergic response
2. a purely behavioral effect
3. a shift to the right of a dose response curve
4. reverse tolerance

Correct answer: 4. reverse tolerance

Explanation: Sensitization is the reverse of tolerance. It refers to an increase in effect of the drug with repetition of the same dose. It does not occur during an acute binge. The dose response curve would be shifted to the left.